Thalidomide used for multiple myeloma is
1. Assosciated with diarrhea
2. Characterised by enantiomeric interconvesions
3. Metabolized extensively by hepatic CYP system
4. Safe for use in pregnant female's

Correct answer: 2. Characterised by enantiomeric interconvesions

Explanation: Refer Katzung 10th/919 Thalidomide used for morning sickness but later withdrawn due to teratogenic effects It is not extensively metabolized by microsomal enzymes It is now used for multiple myeloma It can also result in constipation ,peripheral neuropathy